Site of Topical block of sphenopalatine ganglion is?
1. Above the superior turbinate
2. Posterior to Superior turbinate
3. Posterior to middle turbinate
4. Posterior to inferior turbinate

Correct answer: 3. Posterior to middle turbinate

Explanation: ANSWER: (C) Posterior to middle turbinateREF: Morgan Anesthesiology 4th ed chapter 18, Lee's Synopsis of Anaesthesia 13th ed page 411, Dhingra 4th ed page 131Sphenopalatine ganglion block may be used in the treatment of acute migraine headache, acute cluster headache, and a variety of facial neuralgias including Sluder's, Vail's, and Gardner's syndromes.Most of the posterior two- thirds of nasal cavity (both septum and lateral wall) is supplied by branches of sphenopalatine ganglion which can be blocked by placing a pledget of cottonsoaked in anaesthetic solution near the sphenopalatine foramen situated at the posterior extremity of middle turbinate. Anterior ethmoidal nerve which supplies anterior and superior part of the nasal cavity (lateral wall and septum) can be blocked by placing the pledget high up on the inside of nasal bones where the nerve enters.